Spike in action potential of a nerve is due to which ions
1. K+
2. Na+
3. Cl-
4. All of the above

Correct answer: 2. Na+

Explanation: Na+ enters the nerve cell and K+ leaves it during the action potential, the number of ions involved is minute relative to the total numbers present. (Ref: Ganong's review of medical physiology; 23rd edition; pg: 85)